GLUT receptor on pancreas is?
1. GLUT 1
2. GLUT 2
3. GLUT 4
4. GLUT 5

Correct answer: 2. GLUT 2

Explanation: Ans. (b) GLUT 2TransporterFunctionSite of actionSGLT1Absorption of glucoseSmall intestine, renal tubulesSGLT2Absorption of glucoseRenal tubules Facilitated diffusionGLUT1Basal glucose uptakePlacenta, blood-brain barrier, brain, red cells, kidneys, colon, many other organsGLUT2B-cell glucose sensor; transport out of intestinal and renal epithelial cellsB cells islets, liver, epithelial cells of small intestine, kidneysGLUT3Basal glucose uptakeBrain, placenta, kidneys, many other organsGLUT4Insulin - stimulated glucose uptakeSkeletal and cardiac muscle, adipose tissue, other tissuesGLUT5Fructose transportJejunum, spermGLUT6UnknownBrain, spleen and leukocytesGLUT7Glucose 6-phosphate transporter in endoplasmic reticulumLiver